Best method of localization of the placenta is :
1. Vaginal examination
2. Amniography
3. Uteroscopy
4. Ultrasonogram

Correct answer: 4. Ultrasonogram

Explanation: Ultrasonogram